All the following structures develop from Mandibular arch except
1. Anterior belly of Digastric
2. Mylohyoid
3. Posterior belly of Digastric
4. Tensor Tympani

Correct answer: 3. Posterior belly of Digastric

Explanation: Posterior belly of digastric is developed from the second archMuscles of first arch (mandibular)Medial and lateral pterygoids, Masseter, Temporalis, Mylohyoid, Anterior belly of digastric, Tensor tympani, and Tensorpalati.Reference: Inderbir Singh Embryology; 10th edition; Page no: 132